The most important factor governing absorption of a drug from intact skin is
1. Molecular weight of the drug
2. Site of application
3. Lipid solubility of the drug
4. Nature of the base used in the formulation

Correct answer: 3. Lipid solubility of the drug

Explanation: Lipid solubility is an important factor governing the absorption through skinRef: KDT 6/e , pg 15